Chemical peeling is done by all except -
1. Trichloroacetic acid
2. Phosphoric acid
3. Carbolic acid
4. Kojic acid

Correct answer: 2. Phosphoric acid

Explanation: Ans. is 'b' i.e., 'c' Phosphoric acid Chemical peeling represents accelerated exfoliation or skin damage induced by caustic agents that cause controlled damage followed by the release of cytokines and inflammatory mediators, resulting in thickening of the epidermis, deposition of collagen, reorganization of structural elements and increase in dermal volume.This process decreases solar elastosis and replaces and reorients the dermal connective tissue, the result is an improved skin.Combined oral contraceptive with cyroterone has following advantagesThey regulate the menstrual cycle in the majority of women.Iron deficiency anemia is less common because of less bleeding.Increased good HDL cholesterol may protect against atherosclerosis hardened arteries predisposing to heart diseaseA decrease in the number and size of ovarian cysts occurs in polycystic ovarian syndrome.Sebum production is reduced by 30% resulting in worthwhile improvement in 80% of those with seborrhea.Acne usually improves by 40-50% by the third cycle and by 80- 90% by the ninth cycle.More than 40% of women with facial hair find it clears within 9 months and many get worthwhile reduction in hair elsewhere.